The diffusion capacity of lung (DLCO) is decreased in all of the following conditions, EXCEPT:
1. Interstitial lung disease
2. Goodpasture's syndrome
3. Emphysema
4. Primary pulmonary hypertension

Correct answer: 2. Goodpasture's syndrome

Explanation: DLCO decreases in conditions that thicken or destroy alveolar membrane (Interstitial lung disease, Emphysema) and curtail the pulmonary vasculature (pulmonary hypertension).DLCO is elevated in acute congestive cardiac failure, asthma, and pulmonary hemorrhage. Goodpasture's syndrome is characterized by pulmonary hemorrhage and renal involvement. Ref: Harrisons principles of internal medicine, 18th edition, Page: 2092